Seabrook's operation is done for:
1. Parotid duct fistula
2. Thyroglossal fistula
3. Thyroglossal cyst
4. Branchial fistula

Correct answer: 1. Parotid duct fistula

Explanation: Ans. (a) Parotid duct fistulaRef: SRB 4th edition Page 438Causes of Parotid Fistula:* Rupture of parotid abscess* Incision and Drainage of Parotid abscess by an inadvertent incision* Penetrating trauma* After Superficial Parotidectomy.Based on the External opening the symptoms happen:* External fistula is arising from gland - it closes spontaneously* External fistula is arising from Duct - it produces outpouring of saliva and won't heal.Diagnosis: SialographyTreatment: Newman and Seabrook's operation-reconstruction of duct